Vit A deficiency produces -a) Bitots Spotsb) Trantas spotsc) Keratomalaciad) Xerophthalmia e) Color blindness
1. abc
2. ad
3. bc
4. acd

Correct answer: 4. acd

Explanation: The most characteristic and specific signs of vitamin A deficiency are eye lesions.
These develop before the age of 2 years.
The term xerophthalmia comprises all the occular manifestations of vitamin A deficiency.

Xerophthalmia (Dry eye) 

It is a syndrome due to deficiency of vitamin A.
a It has following stages
Night blindness → Earliest ocular symptom
Conjunctival xerosis → Earliest ocular sign
Bitot's spot
Corneal xerosis
Keratomalacia & corneal ulcers